Most common primary cardiac tumour?
1. Myxoma
2. Rhabdomyoma
3. Rhabdomyosarcoma
4. Angiosarcoma

Correct answer: 1. Myxoma

Explanation: * The most common primary tumour of the heart is myxoma. It constitutes 50% of all primary cardiac tumours.* Most common site is left atrium.* Most common tumour of heart is metastasis from lung cancer.* Most common tumour of heart valves is papillary elastoma